All of the following are indications for termination of pregnancy in APH patient except:
1. 38 weeks
2. IUD
3. Transverse lie
4. Continous bleeding

Correct answer: 3. Transverse lie

Explanation: Transverse lie is not an indication for termination of pregnancy in APH. Ref: Management of High-Risk Pregnancy: A Practical Approach By S. S. Trivedi, SS Trivedi MS FICOG and Manju Puri, M.D, 2011, Page 150 ; Textbook of Obstetrics By D.C.Dutta, 5th Edition, Page 264-65